Classical triad of symptoms of depression includes all except
1. Depressed mood
2. Slowed thinking
3. Distractibility
4. Psychomotor retardation

Correct answer: 3. Distractibility

Explanation: A typical depressive episode is characterised by the following features: Depressed Mood Depressive Ideation/Cognition: ideas of worthlessness, self-reproach and guilt-feelings. The other features are difficulty in thinking, difficulty in concentration, indecisiveness, slowed thinking, subjective poor memory, lack of initiative and energy. Psychomotor Activity: In younger patients (< 40 years old), retardation is more common and is characterised by slowed thinking and activity, decreased energy and monotonous voice. Ref: A Short Textbook of Psychiatry, Niraj Ahuja, 7th Edition, pg. no.71